Gross lack of direct or indirect supervision of a child which results in an injury:
1. Safety neglect
2. Physical neglect
3. Emotional abuse
4. Safety compromise

Correct answer: 1. Safety neglect